Pityriasis versicolor is caused by?
1. E. floccosum
2. M. gypseum
3. M. furfur
4. T. tansurans

Correct answer: 3. M. furfur

Explanation: Ans. is 'c' i.e., M. furfur